Reflex hallucination is a morbid variety of -
1. Kinesthesia
2. Parasthesia
3. Hyperasthesia
4. Synaesthesia

Correct answer: 4. Synaesthesia

Explanation: Synaesthesia or reflex hallucinations :- Stimulation in one sensory modality produces sensations pertaining to another, e.g. when light flashes the patient gets a tingling sensation.